Efalizumab disrupts the interaction between which of the following adhesion molecules?
1. LFA-3 and ICAM-1
2. LFA-1 and ICAM-1
3. LFA-3 and ICAM-3
4. LFA-3 and CD2

Correct answer: 2. LFA-1 and ICAM-1

Explanation: Agents targeting co-stimulatory molecules and under development for psoriasis include: Efalizumab, -A gainst CD11a (LFA-1), which blocks CD11a-ICAM-1 binding and may inhibit lymphocyte binding to endothelium the same mechanism. Alefacept - Inhibiting the normal CD2/LFA-3 interaction.